Hecht's pneumonia is typically seen in -
1. Measles
2. Malaria
3. RSV
4. Pneumococcus

Correct answer: 1. Measles

Explanation: Ans. is 'a' i.e., Measles Primary giant cell Pneumonia or Hecht's Pneumoniao Refers to a Primary Giant cell type of Pneumonia typically seen in patients with measles.o It is a rare but often fatal form of interstitial pneumonia typically seen in immune-compromised patients with measles. The diagnosis of Hecht's Pneumonia is made on histological examination by demonstration of an interstitial type pneumonia with variable number of Giant cells.Sequelae/Complicationso Secondary bacterial infections; Giant cell pneumonia (1 in 25); meningitis/encephalitis (1 in 1,000)o Subacute sclerosing panencephalitis (SSPEI: Develops 1 to 10 years after the initial infection# Progressive, usually fatal CNS disease and those who survive are severely impaired mentally and physically.# First signs are behavioral, followed by loss of motor control and coordination.# Risk factors include acquiring primary measles at an early age (usually under two years).And# Associated with defective forms of the virus in the brain-difficult to isolate infectious virus from such patients. Certain viral proteins are often not expressed, the viral M protein (viral matrix protein) being frequently absent (not the same as M protein on streptococcus pyogenes).